Bacteria that grow optimally at 25-40oC are called as
1. Thermophiles
2. Cryophiles
3. Psychrophiles
4. Mesophiles

Correct answer: 4. Mesophiles

Explanation: Psychrophilic forms grow best at low temperatures (-5 to 15degC) and are usually found in such environments as the Arctic and Antarctic regionspsychrotrophs have a temperature optimum between 20degC and 30degC but grow well at lower temperatures. They are an important cause of food spoilage. Mesophilic forms grow best at 30-37degC, most thermophilic forms grow best at 50-60degC. Some organisms are hyperthermophilic and can grow at well above the temperature of boiling water, which exists under high pressure in the depths of the ocean.Jawetz microbiology 27E pg: 72